Range of accommodation is the distance between
1. Far point and near point of the eye
2. the eyes and the near point
3. The eyes and the far point
4. The retina and the near point

Correct answer: 1. Far point and near point of the eye

Explanation: Ans. Far point and near point of the eye